Which of the following is not a Halogenated disinfectant?
1. Iodophores
2. Hypochlorites
3. Bleaching powder
4. Savlon

Correct answer: 4. Savlon

Explanation: Savlon is a Quaternary ammonium compound, combination of cetavlon and hibitane. Halogenated compounds : Bleaching powder Iodophores Hypochlorites